BIRADS stage of 5 is
1. Negative
2. Probably benign
3. Suspicious abnormality
4. Highly suggestive of malignancy

Correct answer: 4. Highly suggestive of malignancy

Explanation: Ans. (d) Highly suggestive of malignancy(Ref. Sabiton 20th edition Page 831)* BIRADS - Breast Imaging Reporting and Data System)* This system is used to categorize the degree of suspicion o malignancy based on Mammography findings.* BIRADS-5 is highly suggestive of malignancyCategoryDefinitionFurther Plan0Incomplete assessmentNeed additional imagingslNegativeAdvised annual screening2Benign FindingRecommend annual screening3Probably BenignShort interval follow up4Suspicious of malignancyBiopsy must5Highly suggestive of malignancyTake appropriate action6Known biopsy proved malignancy